Restless leg syndrome (RLS) is seen in:
1. Hypercalcemia
2. Hyperphosphatemia
3. Chronic renal failure
4. Hyperkalemia

Correct answer: 3. Chronic renal failure

Explanation: Ans. C. Chronic renal failureNeuromuscular features of CRF:a. Encephalopathyb. Restless leg syndromec. Peripheral neuropathyd. Impotencye. Dialysis dementiaCNS features in CRF are due toa. Increase BUNb. Increase Creatininec. Decrease Nad. Acidosise. Hyperosmolarityf. Middle molecules